The articular cartilage is characterized by all of the following features except:
1. It is devoid of perichondrium
2. It has a rich nerve supply
3. It is avascular
4. It lacks the capacity to regenerate

Correct answer: 2. It has a rich nerve supply

Explanation: Articular disc is composed of thick fibrous tissue. The fibrous tissue covering the condyle, articular eminence, as well as the large central area of the disc, are devoid of blood vessels and nerves and have limited reparative capacity.